A child is passing blood with act of defecation. The probable diagnosis is
1. Juvenile rectal polyp
2. Adenomatous Polyposis
3. Rectal ulcer
4. Post Surgery

Correct answer: 1. Juvenile rectal polyp

Explanation: Ans. (a) Juvenile rectal polypRef : Bailey & Love 26th ed. /1224The most common cause of bleeding per rectum in children is juvenile rectal polyp up to adolescence age. Though in infants and young children (up to 1 yrs) the cause is anal fissure.